"Trotter triad" is seen in
1. Nasopharynx
2. Hypopharynx
3. Hypo larynx
4. All of the above

Correct answer: 1. Nasopharynx

Explanation: A. i.e. (Nasopharynx) (234, 404 - Dhingra 4th)TROTTER'S (or sinus of Morgagni) SYNDROME OR TRIADIs seen in nasopharyngeal carcinoma which spreads laterally to involve the sinus of morgagni involving in mandibular nerveCharacterized byi. Conductive hearing loss (due to Eustachian tabe obstruction)ii. Ipsilateral immobility of soft palate (cranial nerveX)iii. Neuralgic pain in the distribution of V3*Rhinolalia clausa type of speech seen in Nasopharyngeal CA*ALPORT'S SYNDROME -* Presenile familial nerve deafness (bilateral)* Congenital haemorrhagic nephritis* Keratoconus and cataracts* GRADENIGO'S SYNDROME - Otorrhoea, diplopia, retro-orbital pain or facial pain**KARTAGENER'S SYNDROME - Sinusitis, Dextrocardia cong bronchiectasis, Situs inversus, cystic fibrosis of pancreas* MARFAN'S SYNDROME - Deafness, diplopia High arched palate, perceptive deafness, convergent squint, Long tapering fingers, some toes are bigger and some are small* PANCOAST'S SYNDROME - neuritic pain in the arm, Atrophy of muscles of arm and hand Homer's syndrome, osteolysis of ribs and vertebrae coin shadow on x-ray chest at apex of lung* RAMSAY- HUNT SYNDROME - Pain in the ear, loss of taste on anterior 2/3 of tongue, facial weakness Deafness, vertigoTREACHER -COLLINS SYNDROME (Franceschettiz wahlen syndrome)* Under developed lower half of face, especially mandible and maxilla* Notched lower eyelid called coloboma* Poorly developed eye lashes (No eyelashes in medial 2/3 rd of lower eyelid)* Microtia or anotia* Especially the maxilla and mandible* *Extemal auditory canal atresia and middle ear abnormalities* Abnormal prolongation of hair line on the cheek** Anti mongoloid eyes